Dislocation of the vertebra is uncommon in thoracic region because in this region
1. The articular processes are interlocked
2. The vertebral body is long
3. Anterior longitudinal ligament is strong
4. Spinous process is long and pointed

Correct answer: 1. The articular processes are interlocked

Explanation: The superior articular process is directed backward, upward and laterally (BUL) in the thoracic region. It interlocks with the corresponding inferior articular facet making a strong articulation rendering dislocation in the thoracic region uncommon.